Regarding Asbestosis all are true except
1. Diffuse interstitial fibrosing lung disease
2. High risk of Adenocarcinoma Lung
3. Pan - acinar Emphysema
4. Pleural mesothelioma

Correct answer: 3. Pan - acinar Emphysema

Explanation: Emphysema is not associated with asbestosis.